Eustachian tube patency seen by ?
1. Valsalva
2. Methylene blue test
3. Tonybee test
4. All the above

Correct answer: 4. All the above

Explanation: Ans. is d i.e., All the above Tests for Eustachian tube patency Valsalva test Methylene blue test Sonotubometry Politzer test Toynbee test Frenzel maneuver Catheterization Inflation - Deflation test